A 60-year-old male hypertensive had a stroke 2 weeks prior to this sudden attack of dyspnea. The present ECG shows changes of S1 Q3 T3 and the V/Q pulmonary scan shows major areas of reduced perfusion. What is the probable diagnosis?
1. Pneumothorax
2. Congestive cardiac failure
3. Pulmonary thromboembolism
4. Psychogenic dysfunction

Correct answer: 3. Pulmonary thromboembolism

Explanation: Dyspnoea is the most common symptom of pulmonary embolism,and tachypnoea is the most common sign.ECG in pulmonary embolism shows sinus tachycardia ,and S1Q3T3 sign-an S wave in lead I,a Q wave in lead III,and an inverted T wave in lead III.V/Q scan can be done if there is no previous cardiopulmonary disease,& it shows major areas of reduced perfusion due to increased pulmonary vascular resistance & impaired gas exchange. Reference:Harrison's medicine-18th edition,page no:2170-2172;Davidson's medicine-22nd edition,page no:722.